Function of hypo used in fixer is:
1. Inactivates the carryover developing agent
2. Dissolves and removes the unexposed silver halide
3. Prevents damage to gelatin
4. All of the above

Correct answer: 2. Dissolves and removes the unexposed silver halide

Explanation: An aqueous solution of ammonium thiosulfate (“hypo”) dissolves the unexposed silver halide grains. It forms stable, water-soluble complexes with silver ions, which diffuse from the emulsion. Excessive fixation (hours) results in a gradual loss of film density because the grains of silver slowly dissolve in the acetic acid of the fixing solution.
White and Pharoah's Oral  Radiology Principles and Interpretation 8th edition